Dorsal scapular nerve supplies -
1. Teres minor
2. Serratus anterior
3. Trapezius
4. Levator scapulae

Correct answer: 4. Levator scapulae

Explanation: Muscles supplied by dorsal scapular nerve
-        Levator scapulae
-        Rhomboid major
-        Rhomboid minor